All of the following are used for the transportation of vaccines except :
1. Vaccine van
2. Cold box
3. Vaccine carriers
4. ILR

Correct answer: 4. ILR

Explanation: ILR is part of electrical storage equipment Transportation : Refrigerator vaccine van Insulated vaccine van Cold box Vaccine carrier